The following tumours of skin are radiosensitive, except:
1. Cutaneous lymphoma
2. Basal cell carcinoma
3. Malignant melanoma
4. Squamous cell carcinoma

Correct answer: 3. Malignant melanoma

Explanation: Ans. Malignant melanoma